Ketone bodies are not utilized by
1. Brain
2. RBC
3. Heart
4. Skeletal muscle

Correct answer: 2. RBC

Explanation: Red blood cells lack mitochondria, and hence the enzymes of the TCA cycle, electron transport chain, b-oxidation pathway, or ATP synthase. This renders them incapable of utilizing fatty acids or ketone bodies as metabolic fuel. Consequently, red blood cells are completely reliant on glycolysis to generate ATP. Glucose enters red blood cells by facilitated diffusion, a process mediated by the glucose transporter (GLUT1), also known as glucose permease.Ref: Harper's biochemistry; 30th edition; Page no: 691